HPV causes ?
1. Condylomalata
2. Condyloma acuminata
3. Bubo
4. Chancre

Correct answer: 2. Condyloma acuminata

Explanation: Ans. is 'b' i.e., Condyloma acuminata